Antibiotic used to for sensitivity in identification of streptococcus pyogenes?
1. Bacitracin
2. Novobiocin
3. Penicillin
4. Optochin

Correct answer: 1. Bacitracin

Explanation: Ans. is 'a' i.e., Bacitracin Senstivity to bacitracin is employed as a convenient method for differentiating str. pyogenes from other hemolytic streptococci (Maxted's observation).